Treatment of pustular psoriasis is:-
1. Thalidomide
2. Hydroxyurea
3. Retinoids
4. Steroids

Correct answer: 3. Retinoids

Explanation: Most cases of GPP (Generalised Pustular Psoriasis) require systemic therapy. Retinoids--> TOC Response to high doses of acitretin (1 mg/kg/day) is rapid and lower doses of 0.5-0.75 mg/kg/day, sufficient to maintain control. Acitretin> Methotrexate Other drugs used are Cyclosporine ,Colchicine, Razoxane, Dapsone TNF-antagonists, and Basiliximab, an antibody directed at the IL-2 receptor, rapidly control acute GPP. Systemic steroids are C/I in psoriasis.